The commonest complication of topical steroids is
1. Glaucoma
2. Cataract
3. Ptosis
4. Iritis

Correct answer: 1. Glaucoma

Explanation: A i.e. Glaucoma